Rapid infusion of insulin causes -
1. Hyperkalemia
2. Hypokalemia
3. Hypernatremia
4. Hyponatremia

Correct answer: 2. Hypokalemia

Explanation: Ans. is 'b' i.e., Hypokalemia Insulin causes K+ to enter cells with a resultant lowering of extracellular K+ concentration."Hypokalemia often develops when patients with diabetic acidosis are treated with insulin"Potassium stores are depleted during diabetic ketoacidosis: -"During t/t with insulin and fluids various factors contribute to the development of Hypokalemia These include: -Insulin mediated potassium transport into cells.Resolution of the acidosis (which also promotes potassium entry into cells).Urinary loss of potassium salts of organic acids.